Indication of systemic steroids in rheumatoid arthritis is:
1. Mononeuritis multiplex
2. Carpul tunnel syndrome
3. Presence of deformities
4. Articular cartilage involvement

Correct answer: 1. Mononeuritis multiplex

Explanation: Answer is A (Mononeuritis Multiplex) : Mononeuritis multiplex in Rheumatoid arthritis is due to nerve ischaemia from occlusion of vaso nervosum due to vasculitic change - Harrison Indications of Steroids in Rheumatoid arthritis include: On short term basis to tide over acute disabling episodes etc. To manage serious extra-articular manifestations such as: Vasculitis: exemplified here by mononeuritis multiplex Pericarditis Perforating eye lesions etc.